Anewborn infant presents with bilious vomiting and epigastric distention immediately following birth. What is the most likely diagnosis?
1. Esophageal atresia
2. Congenital pyloric stenosis
3. Gastric outlet obstruction
4. Atresia of 3rd part of duodenum

Correct answer: 4. Atresia of 3rd part of duodenum

Explanation: This infant is suffering from duodenal atresia. Postnatal abdominal Xray in this case shows double bubble sign. It is associated with other congenital anomalies such as esophageal atresia, intestinal atresia, cardiac and renal anomalies. It is also seen in association with prematurity and Downs syndrome.